Which one of the following is not a strategy under Roll Back Malaria -
1. Strengthening of health system
2. Use of insecticide treated bed nets
3. Anti-larval measures
4. Development of new antimalaria drugs

Correct answer: 3. Anti-larval measures

Explanation: Ans. is 'c' i.e., Anti larvae measures